Ligamentum teres develops from?
1. Umbilical artery
2. Umbilical vein
3. Ductus venosus
4. Portal radicles

Correct answer: 2. Umbilical vein

Explanation: ANSWER: (B) Umbilical veinREF: Keith L Moore, 4th edition page 167"In anatomy, the round ligament of liver (AKA: ligamentum teres - or more specifically ligamenturn teres hepatis as the human body has three round ligaments in total) is a degenerative string of tissue that exists in the free edge of the falciform ligament of the liver. The round ligament represents the remnant of the fetal left umbilical vein"